Wavelength of UVB is :
1. 250-280 nm
2. 280-320 nm
3. 320-400 nm
4. 400-700 nm

Correct answer: 2. 280-320 nm

Explanation: Ans. B. 280-320 nmThe wavelength found most effective in treating skin disease with phototherapy is UVB with warden gfh of 311 (+- 2nm) (narrow band UVB, NBUVB).The wavelengths between 4(N and 7AO nm are visible to the human eye.